Hair on end appearance is seen in X-ray skull in
1. Thalassemia
2. Hydrocephalus
3. Chronic malaria
4. Sickle cell analuria

Correct answer: 1. Thalassemia